Features of diabetic nonproliferative retinopathy are all except-
1. Neovascularisation
2. Soft exudates
3. Microaneurysms
4. IRMA

Correct answer: 1. Neovascularisation

Explanation: Diabetic retinopathy is classified into two stages: nonproliferative and proliferative. Nonproliferative diabetic retinopathy usually appears late in the first decade or early in the second decade of the disease and is marked by retinal vascular microaneurysms, blot hemorrhages, and cotton-wool spots (soft exudate). Mild nonproliferative retinopathy may progress to more extensive disease, characterized by changes in venous vessel caliber, intraretinal microvascular abnormalities, and more numerous microaneurysms and hemorrhages.The appearance of neovascularization in response to retinal hypox- emia is the hallmark of proliferative diabetic retinopathy. Reference : page 2424 Harrison's Principles of Internal Medicine 19th edition